A 35 year old male presents to the urologist for an infertility evaluation. A biopsy of his testis is performed to check sperm production and maturation. A microscopic section reveals only a few germ cells near the basal lamina in the seminiferous tubule. Which of the following cells is the germ cell closest to the basal lamina in the seminiferous tubule?
1. Primary spermatocyte
2. Secondary spermatocyte
3. Spermatid
4. Spermatogonia

Correct answer: 4. Spermatogonia

Explanation: Maturation of germ cells (spermatogenesis) within the seminiferous tubules occurs in a concentric pattern with the less mature spermatogonia near the basal lamina and the mature forms near the tubule center. Spermatogonia are 2N cells and mature into larger primary spermatocytes (4N) . These mature into secondary spermatocytes (2N) , and finally into spermatids (1N) . Spermatids undergo spermatogenesis to become mature spermatozoa . Acrosomes form from the Golgi apparatus and a flagellum forms from microtubules. Unneeded organelles are shed. The seminiferous tubules of a reproductive-age male should exhibit all stages of maturation, with mature flagellated sperm in their centers.